All of the following vascular changes are observed in acute inflammation, except
1. Vasodilation
2. Stasis of blood
3. Increased vascular permeability
4. Decreased hydrostatic pressure

Correct answer: 4. Decreased hydrostatic pressure

Explanation: The main vascular reactions of acute inflammation are increased blood flow secondary to vasodilation and increased vascular permeability, both designed to bring blood cells and proteins to sites of infection or injury.Changes in Vascular Caliber and FlowAfter transient vasoconstriction (lasting only for seconds), arteriolar vasodilation occursThe microvasculature becomes more permeable, and protein-rich fluid moves into the extravascular tissuesAs stasis develops, leukocytes (principally neutrophils) begin to accumulate along the vascular endothelial surface--a process called marginationIncreased Vascular PermeabilitySeveral mechanisms may contribute to increased vascular permeability in acute inflammatory reactions ( Robbins Basic Pathology, 9 th edition, page 33 )